Patient with head and neck cancer with contralateral Lymphnode of 3 cm size. Nstaging
1. N2a
2. N2b
3. N2c
4. N3

Correct answer: 3. N2c

Explanation: N0
No nodal metastasis
 
 


N1
Single
Ipsilateral
Equal to or <3 cm


N2a
Single
Ipsilateral
3 to 6 cm


N2b
Multiple
Ipsilateral
None > 6 cm


N2c
Single or Multiple
Bilateral or Contralateral
None > 6 cm


N3
Single or Multiple
Ipsilateral, Bilateral or Contralateral
Any node >6 cm